Treatment of choice choriocarcinoma is:
1. Chemotherapy
2. External beam radiotherapy
3. Hysterectomy
4. Intracavitary brachytherapy

Correct answer: 1. Chemotherapy

Explanation: Ans. A. Chemotherapy* The treatment of choice of choriocarcinoma is mainly chemotherapy both for local and distal metastasis. The drug of choice for the same is methotrexate. It is given orally 5mg five times a day for 5 days. Side effects of Methotrexate are ulcerative stomatitis, gastric hemorrhage, skin reaction, alopecia, bone marrow suppression, Liver and Kidney damage.